Most halophilic vibrio -
1. Vcholerae
2. Vvulnificus
3. Valginolvticus
4. Vparahemolyticus

Correct answer: 3. Valginolvticus

Explanation: Ans. is 'c' i.e., V alginolyticus o V alginolyticus is most salt tolerant (most halophilic) species of vibrio.Halophilic vibrios# Vibrios that have a high requirment of sodium chloride are known as halophilic vibrios. They are abundant in coastal water throughout the world. Examples are -V. ParahaemolyticusV. alginolyticusV. VulnificusV. damselaV. fluvialisV. HallisaeV. furnissii# Remember simple funda."Except for V.cholerae and V.mimicus, alt vibrios are halophilic" - Harrison 16th/e p. 909Note : Vibio alginolyticus is the most salt tolerant species of vibrio.